Cotton dust is associated with
1. Asbestosis
2. Bagassosis
3. Silicosis
4. Byssinosis

Correct answer: 4. Byssinosis